According to latest guidelines of vaccination, which of the following is applicable at the age of 5 years ?
1. DT booster + Vitamin A
2. DT
3. DPT + OPV
4. DPT +VitaminA

Correct answer: 4. DPT +VitaminA